Chandler's index is used for:
1. Guinea
2. Pin worm
3. Hookworm
4. Round worm

Correct answer: 3. Hookworm

Explanation: Hookworm infection has non bile stained eggs and segmented egg i.e blastomere is seen in hookworm infection more than 300egg per grm of stool is present which is characteristic of chandler's index.